Rate limiting step in gluconeogenesis
1. Fructose 1, 6 biphosphatase
2. Glucokinase
3. Fructokinase
4. Hexokinase

Correct answer: 1. Fructose 1, 6 biphosphatase

Explanation: 1. Pyruvate carboxylase2. Phosphoenolpyruvate carboxykinase3. Fructose-1-6-bisphosphatase4. Glucose-6-phosphataseGluconeogenesis involves several enzymes of glycolysis, but it is not a reversal of glycolysis. The irreversible steps in glycolysis are circumvented by four enzymes which are designated as the key enzymes of gluconeogenesis.Ref: D M Vasudevan 7th edition Page no: 117